Which of the following is known as suicidal enzyme?
1. Lipoxygenase
2. Cyclooxygenase
3. Thromboxane synthatase
4. 5' nucleotidase

Correct answer: 2. Cyclooxygenase

Explanation: Suicidal enzyme is one, which undergoes self-destruction in order to terminate its own acitivity, e.g. Cyclooxygenase. Suicidal Inhibition is conversion of a substrate by the enzyme into a metabolite, which is a potent inhibitor of the enzyme; example: Xanthine oxidase converts allopurinol to alloxanthine (oxypurinol), which is a more potent inhibitor of allopurinol. Cycloorygenase is known as suicide enzyme because it catalyzes its own destruction. REF: Lippincott book of biochemistry 6th ed.